For diagnosis of insanity, maximum limit of observation:
1. 5 days
2. 10 days
3. 30 days
4. 50 days

Correct answer: 3. 30 days

Explanation: Ans. 30 days